Epleys maneuver is done in:
1. Positional vertigo
2. Otosclerosis
3. ASOM
4. CSOM

Correct answer: 1. Positional vertigo

Explanation: Ans. is a i.e. Positional vertigo Benign paroxysmal positional vertigo (BPPV) is characterised by vertigo when the head is placed in a certain critical postion, and can be treated by Epley's maneuver. The principle of this maneuver is to reposition the otoconial debris from the posterior semicircular canal back into the utricle. After maneuver is complete, patient should maintain an upright posture for 48 hour. Eighty per cent of the patients will be cured by a single maneuver.